Directly acting cholinergic drug is/are:
1. Pilocarpine.
2. Bethanechol.
3. Methacholine.
4. All of the above.

Correct answer: 4. All of the above.

Explanation: Directly acting

Ach
Pilocarpine
Bethanechol
Methacholine
Carbachol